A young man presents with an accident leading to loss of hearing in right ear. On otoscopic examination the tympanic membrane was intact. Pure tone audiometry shows an Air-Bone gap of 55 dB in the right with normal cochlear reserve. Which of the following will be the likely tympanometry finding -
1. AS type tympanogram
2. AD type tympanogram
3. B type tympanogram
4. C type tympanogram

Correct answer: 2. AD type tympanogram

Explanation: This is also a very interesting question:

The question says. Pure tone audiometry shows an air bone gap of 55 dB in the right ear with normal cochlear reserve.
The air-bone gap in pure tone audiometry is a measure of total conductive deafness.
Hence – it means there is a conductive deafness of 55 dB in the right ear.
Next the question says – Patient has intact tympanic membrane so we have to look for a cause of this 55 dB conductive deafness.

Average hearing loss seen in different lesions of conductive apparatus